True statement regarding chlorination is
1. Chlorine acts best when pH is around 7
2. Orthotolidine test measures combined chlorine separately
3. It kills bacteria, viruses and spores
4. Hypochlorite ions are mainly responsible for disinfecting activity

Correct answer: 1. Chlorine acts best when pH is around 7